New DNA synthesis occurs in
1. Prophase
2. Anaphase
3. Telophase
4. Interphase

Correct answer: 4. Interphase

Explanation: During this phase, the cell copies its DNA in preparation for mitosis.There are three stages of interphaseG1 (Gap 1), in which the cell grows and functions normally. During this time, a high amount of protein synthesis occurs and the cell growsSynthesis (S), in which the cell duplicates its DNA ( semi-conservative replication).G2 (Gap 2), in which the cell resumes its growth in preparation for division.Ref: DM Vasudevan, 7th edition, page no: 582